All are true about pheochromocytoma except:
1. 90% are malignant
2. 95% occur in the abdomen
3. They secrete catecholamines
4. They arise from sympathetic ganglions

Correct answer: 1. 90% are malignant

Explanation: Only 10% are malignant. They are also called 10 % tumors because 10% are bilateral, 10% are extra adrenal, 10% occur in pediatric patients, 10% are familial. One "traditional" 10% rule that has now been modified pertains to familial cases. It is now recognized that as many as 25% of individuals with pheochromocytomas and paragangliomas harbor a germline mutation in one of at least six known genes